Balthazar scoring system is used for?
1. Acute Pancreatitis
2. Acute Appendicitis
3. Acute Cholecystitis
4. Cholangitis

Correct answer: 1. Acute Pancreatitis

Explanation: ANSWER: (A) Acute PancreatitisREF: REF: Schwartz 9th ed chapter 33, Sabiston 18th ed chapter 55, The Washington Manual of Critical Care by Marin Kollef page 418See "ASSESSMENT OF SEVERITY OF PANCREATITIS" in Surgery 2012 Session 2